The following is not the differential diagnosis of an anterior mediastinal mass.
1. Teratoma
2. Neurogenic tumor
3. Thymoma
4. Lymphoma

Correct answer: 2. Neurogenic tumor

Explanation: B i.e. Neurogenic tumor Neurogenic tumors (arising in posterior nerve structues) are the most common posterior mediastinal tumor but these do not occur in anterior mediastinumQ. And posterior mediastinum is the most common location for neurogenic tumors.